A 35-year-old male present with the Squamous cell carcinoma of tongue with staging as T2N0M0. The treatment of this patient is most likely
1. SOHND
2. Level 1-2 lymph node excision
3. Level 1-5
4. Level 1-6

Correct answer: 1. SOHND